Freeze dried vaccines are all except -
1. BCG
2. DPT
3. Measles
4. Yellow fever

Correct answer: 2. DPT